In a case of undifferentiated arthritis, presence of anti-cyclic citrullinated peptide {anti CCP} indicates strong possibility of which of the following?
1. Rheumatoid arthritis
2. Systemic lupus erythematosis
3. Mixed connective tissue disorder
4. Reactive arthritis

Correct answer: 1. Rheumatoid arthritis

Explanation: REF : MAHESWARI 9TH ED